Which of the following is most likely in a 23 year old female who died because of overdose of acetaminophen?
1. Cirrhosis of liver
2. Hepatorenal syndrome
3. Acute liver failure
4. Sinusoidal obstruction syndrome

Correct answer: 3. Acute liver failure

Explanation: The mnemonic for causes of acute liver failure is as follows:* A: Acetaminophen, hepatitis A, autoimmune hepatitis* B: Hepatitis B* C: Hepatitis C, cryptogenic* D: Drugs/toxins, hepatitis D* E: Hepatitis E, esoteric causes (e.g., Wilson disease, Budd-Chiari syndrome, lymphoma, carcinoma)* F: Fatty change of the microvesicular type (e.g., fatty liver of pregnancy, valproate, tetracycline, Reye syndrome)